Extracellular binding domain for the ligand is present in all types of receptor except
1. G-protein
2. Enzyme linked
3. Transcription factors
4. None

Correct answer: 3. Transcription factors

Explanation: Cell surface receptors (membrane receptors, transmembrane receptors) are receptors at the surface of a cell (built into its cell membrane) that act in cell signaling by receiving (binding to) extracellular molecules. They are specialized integral membrane proteins that allow communication between the cell and the outside world. The extracellular molecules may be hormones, neurotransmitters, cytokines, growth factors, cell adhesion molecules, or nutrients; they react with the receptor to induce changes in the metabolism and activity of a cell. In the process of signal transduction, ligand binding affects a cascading chemical change through the cell membrane.